Congenital hypertrophic pyloric stenosis associated with
1. Hypokalemic acidosis
2. Hypokalemic alkalosis
3. Hyperkalemic acidosis
4. Hyperkalemic alkalosis

Correct answer: 2. Hypokalemic alkalosis

Explanation: Due to electrolyte changes because of vomiting, hypochloremic, hyponatremic, hypokalemic, hypocalcemic, hypomagnesemic alkalosis occurs with paradoxical aciduria. Reference: SRB 5th edition page no. 829